A 52 year-old man presented with acute upper GI bleed. Ultrasound study of abdomen was normal. At gastroscopy an intermittent pulsatile stream of blood was identified, with no underlying lesion visible between bleeding spurts except for a following is likely diagnosis?
1. Prolapsed gastropathy
2. "Water-Melon" stomach
3. Dieulafoy's Lesion
4. Gastric antral vascular ectasia

Correct answer: 3. Dieulafoy's Lesion

Explanation: GAVE (Gastric antral vascular ectasia. is "watermelon stomach", Dieulafoy's lesion is an aberrant vessel in the gastric mucosa that bleeds from a pinpoint mucosal defect). GAVE is a cause of chronic upper GI bleed, while Dieulafoy's malformation results in acute upper GI bleed as in the given case.